According to the the National Trust Act, patients suffering from which of the following disease as per ICD 10 or DSM IV criteria are eligible for disability benefit?
1. Dementia
2. Schizophrenia
3. Chronic Pain Syndrome
4. Intellectual disability

Correct answer: 4. Intellectual disability

Explanation: Among the options given in the question patients suffering from intellectual disability is eligible for disability benefit as per National Trust Act, 1999. Schizophrenia and Bipolar Disorder are mental disorders which are not considered as a permanent disability. Ref: Psychological Implications of Information Technology By N. K. Chandel, Page 154